Which part of the distal extension removable partial denture provides the greatest resistance to movement and torquing of the abutment teeth?
1. Rest
2. Base
3. Retentive clasp
4. Minor connector

Correct answer: 2. Base